The blobs of the visual cortex are associated with:
1. Ocular dominance
2. Orientation
3. Color processing
4. Saccadic eye movements

Correct answer: 3. Color processing

Explanation: Layers 2 & 3 of the visual cortex contain clusters of cells; the cells contain high concentration of cytochrome oxidase. These clusters are called "pegs" or "blobs". They are concerned with color vision. Axons from interlaminar region of LGN end in layers 2 & 3.